A newborn was healthy for 2 - 3 days After 2-3 days infant started to develop erythematous papular lesions on face and trunk. Doctor examined the baby and sent blood culture and prepared a smear of pustular lesions. what cells would be seen in the smear prepared
1. Basophils
2. Eosinophils
3. Neutrophils
4. Monocytes

Correct answer: 2. Eosinophils

Explanation: The above condition is Erythema toxicum Neonatarum

Erythematous papular lesions are seen on face and trunk
Lesions appear on day 2-3 of life
On smear Preparation: Eosinophil filled lesions present.